Which number blade is useful for Crevicular incision :
1. 10
2. 11
3. 12
4. 15

Correct answer: 3. 12

Explanation: Crevicular incision is also known as Second incision for which 12 number blade is used.